In male patients, genital TB preferentially affects which of the following?
1. Epididymis
2. Orchitis
3. Prostatitis
4. Penis

Correct answer: 1. Epididymis

Explanation: In male patients, genital TB preferentially affects the epididymis, orchitis and prostatitis may also develop. Reference: Harrisons Principles of Internal Medicine, 18th Edition, Page 1347